All can be used as endoscopic sclerosants in the treatment of variceal bleeding, except
1. Polydochyl
2. Cynoacrylate
3. Alcohol
4. Acetic acid

Correct answer: 4. Acetic acid

Explanation: Answer is D (Acetic Acid): Acetic acid has not been mentioned as a sclerosing agent. Sclerosing agents are irritants which cause inflammation, coagulation and ultimately fibrosis when injected into hemorrhoids or varicose vein mass. They are used only for local injection. Endoscopic sclerotherapy involves local injection of sclerosants into variceal columns especially in lower 5 cm of oesophagus. These Sclerosing agents include: Polidocanal (Polydochyl) N butyl - cyanoacrylate (glue injection) Absolute alcohol & Phenol Ethalonalamine maleate / Oleate Sodium tetradecyl sulphate